Flow cytometry analysis is done for:
1. Blood Glucose estimation
2. Separation of Proteins
3. CD4/CD8 estimation in AIDS
4. Estimation of LDL

Correct answer: 3. CD4/CD8 estimation in AIDS

Explanation: Ans. C. CD4/CD8 estimation in AIDSFlow cytometry is a technique that measures multiple properties of a cell in a movingMedium When a single particle passes through the laser light source it produces characteristic light patterns that are measured by multiple detectors for scattered light and fluorescent light.It is used to Count and sort cells.Count and sort viral particles.Study DNA particles and fragments.